In Ramsay Hunt syndrome, most commonly involved nerve is
1. V
2. VII
3. VIII
4. IX

Correct answer: 2. VII

Explanation: Ramsay Hunt syndrome affects V, VII and VIII cranial nerves and among them, VII is most commonly affected. Ref: Dhingra 6th edition pg. 96